In which of the following conditions postmortem caloricity may be seen in death due to -
1. Massive haemorrhage
2. Cyanide poisoning
3. Corrosive poisoning
4. Septicemia

Correct answer: 4. Septicemia